Which type of cholesterol is present in gall stones?
1. Amorphous cholesterol dihydrate
2. Amorphous cholesterol monohydrate
3. Crystalline cholesterol dihydrate
4. Crystalline cholesterol monohydrate

Correct answer: 4. Crystalline cholesterol monohydrate

Explanation: Gallstones are composed: Principally of cholesterol monohydrate crystals or Acid salt of calcium bilirubinate.